Which of the following is true about Human Development Index:
1. Maternal mortality rate
2. IMR
3. Life expectancy- Birth
4. Life expectancy- 1 year

Correct answer: 3. Life expectancy- Birth

Explanation: Ans. (c) Life expectancy BirthRef: K. Park 23rd ed. /17PQLI (Physical Quality of Life IndexHDI (Human Development Index)Literacy rateLiteracy rateInfant mortality rateIncomeLife expectancy (at 1 year)Life expectancy () birth)Range: 0 and 100Range: 0 and +1Value in India: 650.547Also Know* Range of correlation coefficient; 1 to +1